Cock up splint is used for
1. Median nerve palsy
2. Radial nerve palsy
3. Ulnar nerve palsy
4. Femoral nerve palsy

Correct answer: 2. Radial nerve palsy

Explanation: Ans. is 'b' i.e. radial nerve palsy Other important splints used:* Knuckle bender splint*-Ulnar nerve palsy* Foot drop splint*-Sciatic nerve palsy or common peroneal nerve palsy* Shoulder abduction splint-Axillary nerve palsy* Aero plane splint*-Brachial plexus injury* Bohler Braun splint*- femur* Turn buckle splint*-Volkman's ischemic contracture*